Platelet function can be assessed by
1. Prothrombin time
2. Fibrinogen degradation products
3. Clotting time
4. Bleeding time

Correct answer: 4. Bleeding time

Explanation: Bleeding time is the time taken for bleeding to stop (time for platelet plug to form)
Bleeding time is a test of platelet function.